Trimetazine is used for -
1. Hypertension
2. Angina
3. CHF
4. Arrhythmia

Correct answer: 2. Angina

Explanation: Ans. is 'b' i.e, Angina o The drug that inhibit fatty acid oxidation is Trimetazine. o These drugs are partial inhibitors of FA oxidation o These drugs also inhibit lipid peroxidation ---> Reduce the generation of free radicals o These drugs are indicated for the treatment of chronic angina pectoris who failed to respond to standard antianginal therapy.